Which of the following is an effect of acetylcholine?
1. Relaxes LES
2. Contracts LES
3. Constricts the blood vessels
4. Relaxes the bronchial muscles

Correct answer: 2. Contracts LES

Explanation: Acetyl choline is a neurotransmitter ,which is a chemical released by nerve cell ir neuron .acetyl choline causes muscle to contract,activate pain responses and regulates endocrine and REM sleep functions Ref:Guyton and Hall textbook of medical physiology 12th edition,page number:77,78